Which of the following is NOT a component of dialysate in hemodialysis:
1. Sodium
2. Potassium
3. Aluminium
4. Glucose

Correct answer: 3. Aluminium

Explanation: Ans. C i.e. Aluminium